Vaccine (s) not to be frozen is/are -
1. BCG
2. OPV
3. DPT
4. Measles

Correct answer: 3. DPT

Explanation: Ans. is 'c' i.e., DPT o Following vaccines get spoiled on freezing --> TT, DPT, DT, diluents. o So, these should be kept in cold part (but not in freezer) at +2 to +8degC --> These are never kept on the floor of ILR. They are kept in the basket provided with ILR. o While transportation, these should not be kept in direct contact of ice packs used in carriers (Cold boxes, vaccine carrier, day carriers). Following information has been added in 22nd/e of Park o Reconstituted BCG and measles vaccines can be kept at + 2degC to +8degC for a maximum of 4 hours and JE vaccine for 2 hours o Do not keep any used vials in the cold chain. Return the unused vaccines vials from session site to the PHC on the same day in the cold chain through alternative vaccine delivery. Keep the box labled "returned unused" in the ILR for all unused vaccines that can be used in subsequent session, but discard vaccines that have been returned unopened more than three times.